A very preterm baby on 30 mL/kg of enteral feeding developed sudden severe abdominal distension with visible bowel loops on day 6 of life. The baby also showed temperature instability and lethargy. X-ray of the abdomen showed portal venous gas. The staging of NEC is?
1. I
2. 2a
3. 2b
4. 3a

Correct answer: 3. 2b

Explanation: c. 2b(Ref: Nelson's 20/e p 869-870, Ghai 8/e p 165-166)Stage of NECRadiological featureINormal/mild intestinal dilatation IIIIa: Pneumatosis intestinalis;IIb: Portal vein gasIIIIIIa: Peritonitis/Ascites;IIIb: Pneumoperitoneum